Carcinoma cervix is commonest at :
1. Poio vaginalis
2. Endocervix
3. Erosion
4. Squamocolumnar junction

Correct answer: 4. Squamocolumnar junction

Explanation: Squamocolumnar junction